What is sexual masochism
1. Sexual gratification is obtained by suffering pain
2. Sexual gratification is obtained by infliction of pain
3. Sexual gratification by exposing one's genitalia
4. Sexual gratification by rubbing private parts

Correct answer: 1. Sexual gratification is obtained by suffering pain

Explanation: Masochism: Sexual gratification is obtained by suffering pain.
Sadism: Sexual gratification is obtained by infliction of pain.